One of the following disorders is due to maternal disomy
1. Prader Willi syndrome
2. Angelman syndrome
3. Hydatidi form mole
4. Klinefelter syndrome

Correct answer: 1. Prader Willi syndrome

Explanation: ref Robbins 9/e p173 Matetnal disomy is associated with disorders like prader Willi syndrome, angelman syndrome.